All are features of Crohn's disease except
1. Transmural
2. Rectal involvement
3. Strictures
4. Skip lesions

Correct answer: 2. Rectal involvement

Explanation: Crohn's disease Crohn's disease is a transmural, predominantly submucosal inflammation characterized by a thickened colonic wall. The affected mucosa observed by endoscopy is often described as having a cobblestone appearance. In severe disease, the bowel wall may be entirely encased by creeping fat of themesentery, and strictures may develop in the small and largeintestines. The mucosa may demonstrate long, deep linear ulcers that resemble railroad tracks or bear claws. Normal mucosa may intervene between areas of inflammation, causingskip areas characteristic of the disease.Patients with Crohn's disease may have normal rectal mucosa(so-called rectal sparing), although anal disease (e.g., fissures, fistulas,abscesses) is common.**rectal involvement is present in almost 100% of patients withulcerative colitisFeatures of CrohnsAny segment of GI tractTransmuralStricturesCobblestoningSkip lesionsRectal sparingPerianal disease (Fistula, fissure, abscess)Ref: Sabiston 20e pg: 1376